Which of the following is not a bactericidal agent?
1. Rifampicin
2. INH
3. Pyrazinamide
4. Ethambutol

Correct answer: 4. Ethambutol

Explanation: Rifampicin is bactericidal and effective against extracellular and intracellular bacilli. INH is also effective against both intra and extracellular bacilli. It is more effective on rapidly multiplying bacilli. Pyrazinamide is effective against the slow multipliers. Ethambutol is bacteriostatic. Remember: Streptomycin is bactericidal Thiacetazone is bacteriostatic Ref: Park, 21st Edition